What is true about carcinoma bladder -
1. Common in smokers
2. Mostly adenocarcinoma
3. Common in females than in males
4. Pain in suprapubic region is the first symptom

Correct answer: 1. Common in smokers

Explanation: Carcinoma Urinary Bladder More common in whites, higher socio-economic status and in males in 6th and 7th decade. 75% are localised to bladder and 25% have spread to regional nodes or distant sites at the time of presentation Most tumors develop at trigone & adjacent poster lateral wall with urethral involvement Tumors tend to be multifocal in bladder Clinical features MC symptom : painless hematuria (85% cases) Hematuria is gross or microscopic, intermittent rather than constant Vesical irritability : Frequeny, urgency and dysurea Bone pain & abdominal pain in advanced disease Ref: Smith's 18th edition Pgno : 312